Hirsuitism is caused by all, Except:
1. Cushing's syndrome
2. Hyperthyroidism
3. Hyperprolactinemia
4. Acromegaly

Correct answer: 2. Hyperthyroidism

Explanation: Answer is B (Hyperthyroidism): Hyperthyroidism is not associated with Hirsuitism Cushing's Syndrome, Hyperprolactinemia and Acromegaly are established endocrinal causes of Hirsuitism. Causes of Hirsutism: Gonadal hyperandrogenism Ovarian hyperandrogenism Polycystic ovary syndrome/functional ovarian hyperandrogenism Ovarian steroidogenic blocks Syndromes of extreme insulin resistance Ovarian neoplasms Adrenal hyperandrogenism Premature adrenarche Functional adrenal hyperandrogenism Congenital adrenal hyperplasia (nonclassic and classic) Abnormal cortisol action/metabolism Adrenal Neoplasms Other endocrine disorders Cushing's syndrome Hyperprolactinemia Acromegaly Peripheral androgen overproduction Obesity Idiopathic Pregnancy-related hyperandrogenism Hyperreactio luteinalis Thecoma ofpregnancv Drugs Androgens Oral contraceptives containing androgenic progestins Minoxidil Phenytoin Diazoxide Cyclosporine